Infective form of T. brucei ?
1. Amastigote
2. Trypomastigote
3. Egg
4. None

Correct answer: 2. Trypomastigote

Explanation: Ans. is 'b' i.e., Trypomastigote